Role of ASHA in DOTS therapy:-
1. Direct observation on daily basis
2. Helping in diagnosis
3. DOTS provider
4. Giving BCG vaccine

Correct answer: 3. DOTS provider

Explanation: ASHA is the central component of the national rural health mission (NRHM). Responsibilities of ASHA worker: Create awareness and mobilize community for local health planning Promote good health practices Counsel women on RCH Act as depot holder for essential medicines Act as DOTS provider Help develop a comprehensive village health plan Accompany pregnant women and children to the nearest health facility Be a part of JSY and help reduce MMR.